Yoke muscle pair is
1. Rt LR and Rt MR
2. Rt so and Lt Io
3. Rt LR and Lt MR
4. All the above

Correct answer: 3. Rt LR and Lt MR

Explanation: Right lateral rectus and left medial rectus.
Yolk muscles are pair of muscles one from eye which contracts simultaneously during version movement.